Use of atropine in pre-anaesthetic medication has all of the following effects except:
1. Prevent hypotension
2. Bronchoconstriction
3. Prevent bradycardia
4. Decrease secretion

Correct answer: 2. Bronchoconstriction

Explanation: Ans: B i.e. Bronchoconstriction The main aim of using anticholinergics (atropine) as preanaesthetic medication is to prevent vagal bradycardia and hypotension, and prophylaxis of laryngospasm (which is precipitated by respiratory secretions)